Which thyroid cancer Occurs after radiation exposure?
1. Follicular
2. Papillary
3. Medullary
4. Anaplastic

Correct answer: 2. Papillary

Explanation: Papillary carcinoma (PTC) is the most frequent form of thyroid carcinoma diagnosed after radiation exposure, with a higher prevalence of the solid subtype in young children with a short latency period and of the classical subtype in cases with a longer latency period after exposure. Molecular alterations, including intra-chromosomal rearrangements, are frequently found. Ref: www.scielo.br>scielo